Most common GI malignancy of childhood
1. Adenocarcinoma
2. Lymphoma
3. Sarcoma
4. carcinoid

Correct answer: 2. Lymphoma

Explanation: Ans. is 'b' i.e., Lymphoma Over all hemangioma is most common Tumor in infant. Hemangioma is usually benign in Nature. Leukemia is most common malignancy in pediatric age gyp. 2"' most common is CNS Tumor = Lymphoma is the most common malignancy of the gastrointestinal tract in children. About 30% of children with non-Hodgkin lymphoma present with abdominal tumors.